A 40 year old male patient is hospitalised with huge splenomegaly, marked sternal tenderness, and a total leucocyte count of 85,000 per cubic millimetre with large percentage of myeocytes and meta myelocytes, which one of the following drugs is best indicated for his disease ?
1. Cyclophosphamide
2. Chlorambucil
3. Melphation
4. Hydroxyurea

Correct answer: 4. Hydroxyurea